Heparin inhibits the active form of the following factors except:
1. V
2. X
3. XI
4. XII

Correct answer: 1. V

Explanation: Ans. A: V Antic lo tting mechanisms: Antithrombin III is a circulating protease inhibitor that binds to the serine proteases in the coagulation system, blocking their activity as clotting factors. This binding is facilitated by heparin, a naturally occurring anticoagulant that is a mixture of sulfated polysaccharides with molecular weights averaging 15,000-18,000. The clotting factors that are inhibited are the active forms of factors IX, X, XI, and XII. The endothelium of the blood vessels also plays an active role in preventing the extension of clots into blood vessels. All endothelial cells except those in the cerebral microcirculation produce thrombomodulin, a thrombin-binding protein. In the circulating blood, thrombin is a procoagulant that activates factors V and VIII, but when it binds to thrombomodulin, it becomes an anticoagulant in that the thrombomodulin-thrombin complex activates protein C . Activated protein C (APC), along with its cofactor protein S, inactivates factors V and VIII and inactivates an inhibitor of tissue plasminogen activator, increasing the formation of plasmin